All are true about streptococcus preumoniae except:
1. Capsule aids in infection
2. Commonent infection is otitis media
3. Respiratory tract of carriers is most important source of infection
4. Meningitis caused by S. pneumoniae is milder than others

Correct answer: 4. Meningitis caused by S. pneumoniae is milder than others

Explanation: Ans. (d) i.e. Meningitis caused by S. pneumoniae is milder than others Mortality in Bacterial Meningitis Cause 3-7% H. I nfluenzae, Meningococci, Group B streptococci 3-7% Listeria meningitis 15% S. pneumococci 20% E. coli > 20% Others options have already been explained. Note: Pneumococci is the most common cause of pneumonia, meningitis, otitis media. Otitis media is the most common infection of Pneumococci.